Most common site for nasopharyngeal carcinoma is
1. Nasal septum
2. Fossa of rosenmuller
3. Vault of nasopharynx
4. Antero-superior wall

Correct answer: 2. Fossa of rosenmuller

Explanation: The commonest site of origin in the nasopharynx is the fossa of Rosenmuller. Anterior spread causes blockage of choana and nasal cavity and inferior spread are towards oropharynx and hypopharynx, lateral spread involves parapharyngeal space and infratemporal fossa through the sinus of Morgagni, an upward spread is towards intracranial structures. (Ref: Diseases of Ear, Nose and Throat, P.L Dhingra, 7th edition, page 284)